Which of the following is the main stimulator of production of eosinophils?
1. IL-1
2. IL-5
3. IL-4
4. IL-6

Correct answer: 2. IL-5

Explanation: IL-5 is required for the development and maturation of the eosinophil. TH2 cells produce IL-5, which stimulates the production of eosinophils in the marrow and activates eosinophils at sites of immune responses.